Following is true of carbohydrate antigen except one
1. Poor Memory
2. Polyclonal response
3. Highly immunogenic
4. T cell independent response

Correct answer: 3. Highly immunogenic

Explanation: Carbohydrate antigens are poorly immunogenic.There are two classes of antigens-T dependent and T independent.Carbohydrates, simple proteins and lipids do not need the T helper cells for antibody production by the B cells.